The most common physical sign of cerebral metastasis-
1. Epilepsy
2. Focal neurological deficit
3. Papilloedema
4. Visual defects

Correct answer: 2. Focal neurological deficit